More than 90% of this drug is excreted in the urine in intact form. Because its urinary solubility is low, patients should be well hydrated to prevent nephrotoxicity. The drug is:
1. Indinavir
2. Zidovudine
3. Acyclovir
4. Amantadine

Correct answer: 3. Acyclovir

Explanation: - Both indinavir and acyclovir can cause nephrotoxicity and renal stone formation. - But indinavir is metabolized mainly in the liver and acyclovir is excreted unchanged in the urine. - Therefore patients should be well hydrated to prevent nephrotoxicity of acyclovir.